Contrast media of choice for myelogram is
1. Urografin 75%
2. Conray 470
3. lohexol
4. Biligrafin

Correct answer: 3. lohexol

Explanation: C i.e. lohexol - Dianosil is used in oesophageal atresiaQ, as in most cases it is frequently associated with tracheooesophageal fistula; so on instillation of contrast media, there is risk of flooding in the lungs. Water soluble-nonionic LOCM are licenced for intrathecal use eg Iohexol (omnipaque) and Iopamidol (neopam)Q and are contrast agents of choice for myelographyQ. These are non neurotoxic, donot cause epileptic fits, can be used without withdrawing other drugs & are devoid of arachioid toxicity and anticonvulsant cover is unnecessary. Whereas ionic contrast media (both HOCM & LOCM) are very very toxic & often fatal when injected into subarachnoid space.